A 48-years-old male had a road traffic accident and was brought to emergency. All of the following are done as a part of primary survey except.
1. CT abdomen for bleeder identification
2. Airway checking
3. BP recording
4. Cervical spine stabilization

Correct answer: 1. CT abdomen for bleeder identification

Explanation: Ans. A. CT abdomen for bleeder identificationExplanationThis initial assessment, also termed the primary survey, follows the mnemonic ABCDE:Airway and cervical spine protectionBreathingCirculationDisability or neurologic conditionExposure and environmental controlAlgorithm for management of a trauma victim: